Defect seen due to failure of closure of rostral part of neural tube or cranial neuropore?
1. Anencephaly
2. Spina bifida
3. Meningocele
4. Sacrococcygeal teratoma

Correct answer: 1. Anencephaly

Explanation: Ans. A. AnencephalyAnencephaly is the absence of a major portion of the brain, skull, and scalp that occurs during embryonic development. It is a cephalic disorder that results from a neural tube defect that occurs when the rostral (head) end of the neural tube fails to close, usually between the 23rd and 26th day following conception.